Sumatriptan is contraindicated in
1. Asthma
2. DM
3. Sepsis
4. Peripheral vascular disease

Correct answer: 4. Peripheral vascular disease

Explanation: Ans: D (Peripheral vascular disease) Ref: Goodman & Gilman s The Pharmacological Basis of Tin . aeutics, 12th ed. 2011, Pg 346. 348Explanation:Sumatriptan is a 5HTIBID. agonist used in treatment of migraine. All triptans are effective in the treatment of acute migraine.The available triptans include sumatriptan, naratriptan. rizatriptan, frovatriptan, zolmitriptan and eletriptan.All triptans are contraindicated in:Ischemic or vasospastic coronary artery diseaseHistory of stroke or transient ischemic attacksCerebrovascular diseasePeripheral vascular diseaseHemiplegic ! basilar migrainesIschemic bowel diseasesUncontrolled hypertensionWithin 2 weeks of MOA inhibitor administrationHence the answer to the above question is peripheral vascular disease.In addition, naratriptan is contraindicated in severe hepatic and renal impairment while eletriptan is contraindicated in hepatic disease.Ergot alkaloids which are also used in migraine as that of triptans are contraindicated in:PregnancyPeripheral vascular diseaseCoronary artery diseaseHypertensionImpaired hepatic or renal functionSepsisWithin 24 hrs of triptan administration